Ocular manifestations in AIDS:
1. Kaposi sarcoma
2. Retinitis
3. Lymphoma
4. All

Correct answer: 4. All

Explanation: Ans. All